Not a synthetic pyrethroid insectiside
1. Propoxur
2. Permethrin
3. Cypermethrin
4. Etofenoprox

Correct answer: 1. Propoxur

Explanation: Ans. is 'a' i.e., PropoxurInectisides are divided into :Fumigants : Hydrogen cyanide, SO2, methyl bromide, carbon disulphate.Stomach poisons : Paris green, Sodium fluoride.Contact (nerve) poisons : These are divided into Natural : Pyrethrum, rotenone, Derris, nicotine, mineral oil.Synthetic : These are -Organophosphates : Malathion, parathion, fenthion, diazinon, fenitrothion, abate, chlohion, dioxathion, chlorpyrifos, trichlorfon.Carbamates : Carbaryl, propoxur, dimetilan, pyrolon.Organochlorine : DDT, BHC (HCH), dieldrin, aldrin, chlordane, lindane, heptachlor.Synthetic pyrethroid (pyrethrum derivatives) : Pothrin, resmethrin, permethrin, biopermethrin, cypermethrin, cyphenothrin, cycloprothrin, deltamethrin, cyfluthrin, etofenoprox